Test for the tight iliotibial band is -
1. Ober's test
2. Osber's test
3. Sirru-nand's test
4. Charnley's test

Correct answer: 1. Ober's test

Explanation: Signs and Tests

Adson's test : for thoracic outlet syndrome
Allen's test : for testing patency of radial and ulnar arteries
Alli's test : for CDH
Anvil test : for testing tenderness of the spine
Ape thumb : for median nerve injury
Apley's grinding test :for a meniscus injury
Apprehension test : for recurrent dislocation of the shoulder
Barlow's test : for CDH
Blue sclera : Osteogenesis imperfecta
Bryant's test : for anterior dislocation of the shoulder
Callways' test : for anterior dislocation of the shoulder
Chovstek's sign : for tetany
Claw hand : for ulnar nerve injury
Coin test : for dorso lumbar tuberculosis of spine
Cozen's test : for tennis elbow
Drawer test : for ACL and PCL injuries
Anterior : for ACL injury
Posterior : for ACL injury
Finkelstein's test : for de Quervain's tenovaginitis
Foot drop : for common peroneal nerve injury
Froment's sign : for ulnar nerve injury
Gaenslen's test: for SI joint involvement
Galleazzi sign : for CDH
Gower's sign : for muscular dystrophy
Hamilton ruler test : for anterior dislocation of the shoulder
Kanavel's sign : for infection in ulnar bursa
Lasegue's test: for disc prolapse
Lachmann test : for ACL injury
Ludloffs sign: for avulsion of lesser trochanter
McMurray's test : for meniscus injury
Nagffziger test : for disc prolapse
Ober's test : for tight ilio- tibial band (e.g., in polio)
O' Donoghue triad: traid of MCL, ACL & medial meniscus injuries occurring together
Ortolani's test : for CDH
Pivot shift test : for ACL injury
Policeman tip : for Erb's palsy
Runner's knee : Patellar tendinitis
Sulcus sign: for inferior dislocation of the shoulder
Thomas' test : for hip flexion deformity
Trendelenburg's test: for unstable hip due to any reason (e.g., CDH)
Tinel's sign: for detecting improving nerve injury
Volkmann's sign : for ischemic contracture of forearm muscles
Wrist drop : for radial nerve injury